Alpha 1 antitrypsin deficiency mechanism of transmission ?
1. Autosomal recessive
2. Autosomal dominant
3. X linked recessive
4. X linked dominant

Correct answer: 1. Autosomal recessive

Explanation: Ans. is 'a' i.e., Autosomal recessive